Bone marrow transplantation is not indicated in-
1. Aplastic anaemia
2. Congenital spherocytosis
3. Thalassemia
4. Acute myeloid leukaemia in first remission

Correct answer: 2. Congenital spherocytosis